Morula enters into uterine cavity after how many days of filization ?
1. 5-Apr
2. 7-Jun
3. 10-Aug
4. 12-Oct

Correct answer: 1. 5-Apr

Explanation: Ans. is 'a' i.e., 4-5